What is the mechanism of action of latanprost?
1. Decrease in aqueous secretion from ciliary eputhelium
2. Increased uveoscleral outflow
3. Opening of trabecular meshwork leading to increased outflow
4. Decreased vitreous volume

Correct answer: 2. Increased uveoscleral outflow

Explanation: Ans. is 'b' i.e., Increased uveoscleral outflow Mechanism of action of pharmacological agents in POAGAgentMechanism of actiono b-blocker (Timolol, Betaxolol, levobunolol, carteolol)o Prostaglandins (latanoprost, bimatoprost, travoprost)o Alpha agonists# Non-selective (Epinephrine, Dipivefrine)# Selective a-2 (Aproclonidine, Brimonidine)o Carbonic anhydrase inhibitors (Dorzolamide, Brinzolamide, Acetazolamide)o Cholinomimetics (Pilocarpine, physostigmine, carbachol, echothiphate)o Hyperosmotic agents (Mannitol, glycerol)o Decreased aqueous secretion from ciliary epitheliumo Increased uveoscleral aqueous outflowIncreased uveoscleral aqueous outflowDecreased aqueous secretiono Decreased aqueous secretion due to lack of HCO3-o Increased aqueous outflow due to opening of trabecular meshwork due to ciliary muscle contractiono Reduce vitreous volume and deepen anterior chamber